Niacin deficiency in a maize-eating population is due to-
1. High Tryptophan
2. High lsoleucine
3. High leucine
4. High Phenylalanine

Correct answer: 3. High leucine

Explanation: Ans. is 'c' i.e., High Leucine Excess of Leucine interferes in conversion of Tryptophan into Niacin, and aggravates the pallagrogenic action of inake.